Feulgen reaction is a cytochemical test for the detection of:
1. DNA
2. m-RNA
3. t-RNA
4. All of the above

Correct answer: 1. DNA

Explanation: Feulgen reaction: It is an aldehyde specific reaction based on the formation of a purple coloured compound when aldehyde reacts with fuchsin-sulfuric acid. It is used in histology to identify chromosomal material or DNA in cell specimens. Ref: DNA Cytometric Analysis By Andre's Sampedro, Page 78